All are features of Korsakoff syndrome except-
1. Antegrade amnesia
2. Retrograde amnesia-
3. Ataxia
4. Confabulation

Correct answer: 3. Ataxia

Explanation: Ans. is 'c' i.e., Ataxia Korsakoff syndrome Korsakoff's syndrome is the chronic amnestic syndrome that follow Wernicke's encephalopathy, and the two syndrome are believed to be pathophysiologically related. Korsakoff's syndrome is characterized by severe and irreversible memory impairments and confabulation behavior in the absence of intellectual decline or attention deficit. Important clinical features are :? Memory :- The Korsakoff syndrome is characterized by both antegrade (i.e., learning) and retrograde (i.e., memory of past events) amnesia. Antegrade amnesia is severe with lack of insight. Retrograde amnesia is not as severe. New learning and recent memory is impaired but remote memory is relatively preserved. Although remote memory is relatively preserved, patient is unable to organize them in a temporal context and distort the relationship between facts and fill the remote memory gaps by confabulation. There is profound deficit of explicit (conscious or declarative) type of long term memory, with little impairment of implicit (unconscious or non-declarative) type of long term memory. Personality :- Passive and malleable such that they display lack of initiatives, interest, or concern and diminished spontaneity. Other :- Perseveration, lack of motivation (amotivational syndrome), apathy, passivity. General intellegence, language and motor & perceptual skills are not impaired.